Glomerular filtration rate is best estimated by which of the following:
1. MSA
2. Inulin clearance
3. Hippuric acid
4. Creatinine clearance

Correct answer: 2. Inulin clearance

Explanation: Ans. B. Inulin clearanceThe GFR can be measured by measuring the excretion and plasma level of a substance that is:i. Freely filtered through glomeruliii. Not secreted by renal tubulesiii. Not reabsorbed by renal tubulesiv. Not stored in kidneyv. Nontoxicvi. Has no effect on GFRINULIN is a product of Dahlia Tubers It is a polymer of fructose with a molecular weight of 5200 which meets the above criteria and is best for measuring GFR Normal GFR of an average man is 125 ml/minute